Treatment of choice for pleomorphic adenoma
1. Superficial parotidectomy
2. Radical parotidectomy
3. Enucleation
4. Radiotherapy

Correct answer: 1. Superficial parotidectomy

Explanation: Treatment of Pleomorphic adenoma (or any benign lession of Salivary gland)

in Parotid → Superficial protidectomy
in other salivary glands → Excision of the affected gland.